A high prevalence of CA cervix was found to be there in one of the tribal area of Pakistan. It was planned to have free facility of pap smear taken in the concerned rural health centre to screen the local population for the particular cancer. The program showed a lot of resistance as it lacked
1. Acceptability
2. Affordability
3. Accessibility
4. Effectiveness

Correct answer: 1. Acceptability